Maintainence of BP according to intracranial pressure is-
1. Cushing reflex
2. Cushing disease
3. Starling's reflex
4. Gometz reflex

Correct answer: 1. Cushing reflex

Explanation: Ans. is ''a' i.e., Cushing reflex o When intracranial pressure is increased, the blood supply to RVLM neurons is compromised, and the local hypoxia and hypercapnia increase their discharge.o The resultant rise in systemic arterial pressure (Cushing reflex) tends to restore the blood flow to the medulla and over a considerable range, the blood pressure rise is proportional to the increase in intracranial pressure,o The rise in blood pressure causes a reflex decrease in heart rate via the arterial baroreceptors.o This is why bradycardia rather than tachycardia is characteristically seen in patients with increased intracranial pressure.o Cushing reflex consists of hypertension, bradyacardia and tachypnoea.